Intrinsic factor, which helps in absorption of Vit. B12 is produced by:
1. Parietal cells of stomach
2. Chief cells of stomach
3. Beta cells of pancreas
4. Goblet cells

Correct answer: 1. Parietal cells of stomach